The internal thoracic veins are tributaries of the :
1. Azygos
2. Subclavian
3. Internal jugular
4. Brachiocephalic

Correct answer: 4. Brachiocephalic

Explanation: D i.e. Brachio cephalic vein